All are true about Plummer-Vinson syndrome except
1. Esophageal webs
2. Premalignant
3. Common in elderly male
4. Dysphagia

Correct answer: 3. Common in elderly male

Explanation: Plummer-Vinson syndrome is a rare disease characterized by difficulty swallowing, iron-deficiency anemia, glossitis, cheilosis and esophageal webs.Treatment with iron supplementation and mechanical widening of the esophagus generally provides an excellent outcome Ref Davidson edition23rd 796